Base substitution of GAC (Asp) to GAG (Glu) is an example ofa) Point mutationb) Silent mutationc) Non-sense mutationd) Conserved mutatione) Non-conserved mutation
1. b
2. c
3. ad
4. ab

Correct answer: 3. ad

Explanation: It is a point mutation because only single nucleotide is changed (C by G).
It is a conserved mutation because altered AA has same properties as the original one (Both are acidic).